First neuromuscular blocker to be used clinically:-
1. D-tubocurare
2. Succinylcholine
3. Doxacurium
4. Mivacurium

Correct answer: 1. D-tubocurare

Explanation: d-tubocurare is naturally occurring neuromuscular blocker and was first neuromuscular blocker to be used clinically. It is extract of curare plant. Not in clinical use since it release huge amount of histamine and has very long duration of action.